All of the following arise from occulomotor nerve except
1. Nerve to medial rectus
2. Nerve to superior rectus
3. Lacrimal nerves
4. Communicating twig to ciliary cartilage

Correct answer: 3. Lacrimal nerves

Explanation: The opthalmic division has 3 major branches:

Frontal
Lacrimal and
Nasociliary nerves.